All of the following are included in first stage of labor except
1. Effacement of cervix
2. Dilatation of cervix
3. Crowning of fetal head
4. Descent of head

Correct answer: 3. Crowning of fetal head

Explanation: Crowning is a cardinal movement of labor which occurs during second stage